H. Pylori is known to cause all of the following except-
1. Gastric ulcer
2. Duodenal ulcer
3. Gastric lymphoma
4. Fundal gastritis

Correct answer: 4. Fundal gastritis